In a randomized controlled trial, the essential purpose of randomization is:
1. To produce double blinding.
2. To decrease the follow- up period.
3. To eliminate the selection bias.
4. To decrease the sample size.

Correct answer: 3. To eliminate the selection bias.